In face presentation, outlet forceps delivery can be accomplished successfully in all of the following positions except :
1. Right mento-anterior
2. Persistent mento-posterior
3. Direct anterior
4. All

Correct answer: 2. Persistent mento-posterior

Explanation: Ans:B.)Persistent mento-posterior